Following MI, staining of cardiac tissue with TTC within 12 hours of infarction showed red color. This red colour is seen:
1. In the infarcted area due to loss of LDH
2. In the non-infarcted area due to presence of LDH
3. In the infracted area due to loss of creatine kinase
4. In the non-infarcted area due to presence of creatine kinase

Correct answer: 2. In the non-infarcted area due to presence of LDH

Explanation: Ans: b (In the non infracted.....) Ref: Direct pick from Robbins, 7th ed, p. 578-79Myocardial infarcts 2-3 hours after infarct can be stained by immersion of tissue slices in a solution - Triphenyl tetrazolium chloride (TTC). This histochemical stain imparts a brick red colour to the intact, non infarcted myocardium where the dehydrogenase enzymes are preserved.But the dehydrogenase enzymes are depleted in the area of ischaemic necrosis (they leak out through the damaged cell membrane).So the infarcted area is revealed as an unstained pale zone.